Pelvic splanchnic nerve is formed by -
1. Posterior rami of L5-L1
2. Posterior rami of S7-S3-S4
3. Anterior rami of L5-S1-S2
4. Anterior rami of S2-S3-S4

Correct answer: 4. Anterior rami of S2-S3-S4

Explanation: Ventral rami of S2 - S4 gives rise to the pelvic splanchnic nerve.